"Pneumonia Alba" is caused by:
1. Streptococcus
2. Pneumococcus
3. Treponema
4. Staphylococcus

Correct answer: 3. Treponema

Explanation: Treponema